In Cochlear implants, the electrodes are most commonly placed at:
1. Oval window
2. Round window
3. Horizontal semicircular canal
4. Cochlea

Correct answer: 4. Cochlea

Explanation: The cochlear implant electrodes are placed in the scala tympani of the cochlea. The electrode thus stimulates the cochlear nerve which is a part of the vestibulo-cochlear nerve (CN VIII).